A 22 year old G2 P1 presents with rupture of membranes at 19 weeks. She subsequently delivers. Which of the following is seen in autopsy of lungs of nonviable fetus
1. No cartilage development
2. Terminal sacs present
3. Normal bronchial branching
4. Mature alveoli

Correct answer: 3. Normal bronchial branching

Explanation: Lung maturation stages:

Pseudo glandular stage  : growth of intersegmental bronchial tree.
Canalicular stage  : Bronchial cartilage plates extend peripherally.
Terminal sac stage  : Respiratory bronchioles gives rise to terminal sacs.
Alveolar stage  : alveolar epithelial lining thins to improve gas exhange.